Smith's fracture involves which bone-
1. Distal radius
2. Proximal ulna
3. Metatarsal
4. Patella

Correct answer: 1. Distal radius

Explanation: Ans. is 'a' i.e., Distal radius o Smith fracture is the fracture of distal third of radius with palmar displacement (reverse colie '$ fracture).EpommFractures of Upper limbMontegia fracture dislocationFracture of the proximal third of ulna with radial head dislocation.Galeazzi fracture dislocationFracture of the distal third of the radius with dislocation of the distal radio-ulnar joint.Colic's fractureFracture at cortico-cancellous junction of the distal-end of radius with dorsal tilt.Bennet's fractureOblique intra-articular fracture of the base of the 1st metacarpal.Night stick fractureIsolated fracture of the shaft of the ulna.Smith's fractureA fracture of distal end of radius at cortico-cancellous junction with ventral tilt and displacements (reverse Colie's fracture).Barton's fractureA vertical, marginal intra-articular fracture of the distal end of radius occurring with volar or dorsal displacement.Chauffeur fractureAn intra-articular oblique fracture of the styloid process of the radius.Boxer's fractureA fracture through the neck of the 5th metacarpal.Noteo Pott's fracture is bimalleolar ankle fracture,o Cotton's fracture is trimalleolar ankle fracture